Which of the following drug when given intravitreally can cause macular toxicity?
1. Ceftazidime
2. Gentamicin
3. Vancomycin
4. Dexamethasone

Correct answer: 2. Gentamicin

Explanation: Gentamicin is implicated with macular or retinal toxicity even at therapeutic and low doses and is the single best answer of choice. Intravitreal injection of gentamicin result in vision loss, with vascular changes including retinal edema, cotton wool spots, intraretinal hemorrhage, arteriolar attenuation and venous beading. Late manifestations includes widespread pigmentary retinopathy, optic atrophy and anterior segment neovascularization. Ref: Retinal Angiography and Optical Coherence Tomography By J. Fernando Arevalo, Pages 207-9.